Alpha 2 agonist used in glaucoma is -
1. Brimonidine
2. Timolol
3. Phenylephrine
4. Reserpine

Correct answer: 1. Brimonidine

Explanation: Ans. is 'a' i.e., Brimonidine Drugs used in open-angle glaucoma MechanismMethods of AdministrationCholinomimeticsPilocarpine, carbachol, physostigmine. echothiophate, demecartumCiliary muscle contraction, opening of trabecular meshwork, increased outflowTopical drops of get; plastic film slow-release insertAlpha agonistsUnsekctiveEpinephrine, dipiveftinAlpha2-selectiveApraclonidineBrimonidineIncreased outflowDecreased aqueous secretionTopical dropsTopical, post laser onlyTopicalBeta-blockersTimolol, betaxolol, carteolol,levobunolol, metipranololDecreased aqueous secretion from the ciliary epitheliumTopical dropsDiureticsDorzolamide, brsnzolamideAcetazolamide, dichlorphenamide, MethazolamideDecreased aqueous secretion due to lack of HCO.TopicalOralProstaglandinsLantanoprost, bimatoprost, travoprost, unoprostoneIncneased outflowTopical